Bilateral hydronephrosis is seen in?
1. Vaginal carcinoma
2. Carcinoma cervix stage 3 or 4
3. Hepatic cirrhosis
4. Colon cancer

Correct answer: 2. Carcinoma cervix stage 3 or 4

Explanation: (B) Carcinoma cervix stage 3 or 4 # 2 criteria for the diagnosis of Stage IIIB CERVICAL CANCER in the FIGO staging system: tumor fixation to the pelvic side wall and/or the presence of hydronephrosis due to tumor.> Hydronephrosis is an independent poor prognostic indicator of survival in patients with advanced cervical cancer. Bilateral hydro-nephrosis compared to unilateral involvement confers a worse overall prognosis.> Causes of hydronephrosis: BPH, prostate cancer, bladder cancer or kidney cancer, cervical cancer, ovarian cancer or cancer of the womb and physiologically seen in pregnacy.